Cork–screw opperance of esophagus is seen –
1. Achalasia cardia
2. Carcinoma esophagus
3. Diffuse esophageal spasm
4. Caustic injury

Correct answer: 3. Diffuse esophageal spasm

Explanation: Esophageal curling/corkscrew oppearance is seen in diffuse esophageal spasm.